Intestinal absorption is faster for
1. Hexoses
2. Disaccharides
3. Oligosaccharides
4. Polysaccharides

Correct answer: 1. Hexoses

Explanation: Ans. (a) Hexoses(Ref: Ganong, 25th ed/p.477)Hexose is a monosaccharide with six carbon atomsD-glucose, D-galactose, and D-fructose are hexosesAbsorption is fastest and best for glucose